Dorsiflexion of ankle joint ?
1. Tibialis anterior
2. Peroneus longus
3. Tibialis posterior
4. Soleus

Correct answer: 1. Tibialis anterior

Explanation: Ans. is 'a' i.e., Tibialis anteriorActive movements permitted at ankle joint are dorsiflexion and plantar flexion.Dorsiflexion is the closed packed position with maximum congruence of the joint surfaces and ligaments tension.Thus talus fits snugly into the socket when foot is dorsiflexed and there are no chances of ankle dislocation in dorsiflexion.When foot is plantar flexed, talus is slightly loose and may allow slight lateral rotation with maximum chances of dislocation.Thus, Ankle is more stable in dorsiflexed position.Movements Principal muscles Accessory muscles DorsiflexionTibialis anterior Extensor digitorum longus, Extensor hallucis longus, Peroneus tertius (Muscles of anterior compartment of leg)Plantalexion Gastrocnemius Soleus Plantaris tibialis posteior, flexor hallucis longus, flexor digitourm longus (Muscles of posterior comapment of leg)